A normal infant sits briefly leaning forward on her hands, reaches for and grasps a cube and transfer it from hand to hand. She babbles but canot wave bye-bye nor can she grasp objects with the finger and thumb. Her age is -
1. 4 months
2. 7 months
3. 10 months
4. 14 months

Correct answer: 2. 7 months

Explanation: Ans. is 'b' i.e., 7 months o A normal infant sits leaning forward on his hands and babbles by 7 months. o An infant transfer the object from one hand to other by 5-7 months.